Ixabepilone is used in:
1. Melanoma
2. Breast carcinoma
3. Oat cell carcinoma
4. Small cell carcinoma lung

Correct answer: 2. Breast carcinoma

Explanation: Chemotherapy regimen in CA BreastMnemonic- CMF- C- cyclophosphamide- M- methotrexate- F -5- FUMnemonic-CAF- C- cyclophosphamide- A- Adriamycin (doxorubicin) (anthracycline derivative)- F - 5 - FU- The preferred form of chemotherapy for CA breast - CAF or Adriamycin or Anthracycline based Chemotherapy.- Usually 6 cycles are given- For Adriamycin resistant breast cancer - Taxanes are given (Docetaxel, Paclitaxel)- Chemotherapy agent given in Adriamycin & Taxane resistant breast cancer - IXABEPILONE- LAPATINIB - 2nd line agent for HER-2-NEU + ve breast cancer- HERCEPTIN /TRASTUZUMAB - 1st line agent for HER-2-neu +ve breast cancer Drug given in metastatic and refractory breast cancer - SUNITINIB 1st line agent for advanced and metastatic RCC - SUNITINIBDrug of choice for Imatinib resistant GIST - SUNITINIB.